A 23 year old tall male presents with complaints of absent pubic hair, axillary hair, infantile genitalia, high LH, FSH levels and XXY karyotype. What is the most probable diagnosis?
1. Vanishing testis syndrome
2. Noonan syndrome
3. Adrenal hyperplasia
4. Klinefelter syndrome

Correct answer: 4. Klinefelter syndrome

Explanation: * Klinefelter syndrome 47XXY C/F Vanishing Testis Syndrome- absence or an incomplete development of testis of varying degrees in 46 XY patient with normal external genitalia Noonam Syndrome Inheritance: Autosomal Dominant; occur in males as well as females Short stature, webbed neck; cubitus valgus Karyotype: Normal Fertility: Delayed puberty but fertility preserved Intelligence: Low IQ Most common heart disease: Pulmonary stenosis *** Adrenal Hyperplasia Cortisol deficiency - hypoglycemia, inability to withstand stress, vasomotor collapse, hyperpigmentation, apneic spells, muscle weakness & fatigue Aldosterone deficiency - hyponatremia, hyperkalemia, vomiting, urinary sodium wasting, salt craving, acidosis, faikure to thrive, volume depletion, hypotension, dehydration, shock diarrhea. Androgen excess - ambiguous genitalia, virilization of external genitalia, hirsutism, early appearance of pubic hair, penile enlargement, excessive height gain and skeletal advance. Late onset CAH - normal genitalia, have acne, hirsutism, irregular menses / amenorrhea.